A patient can be taught to control his involuntary physiological responses by which of the following therapies
1. Breathing therapy
2. Stress modification
3. Bio-feedback
4. Rational-emotive therapy

Correct answer: 3. Bio-feedback

Explanation: Biofeed back technique was given Neal miller. Here the patient is attached to electromyogram and he is made to see the muscle tension building on by seeing the screen which measures the muscle tension. By knowing this the patient himself starts to relax and reduce the tension and improvement is noted most commonly used in tension type of head ache. * Ref.Kaplon and sadock, synopsis of psychiatry, 11 th edition, pg no. 869